The greatest stress which may be produced in a material such that stress is directly proportional to the strain is known as:
1. The elastic limit
2. The proportional limit
3. The yield strength
4. Modulus of elasticity

Correct answer: 2. The proportional limit

Explanation: Proportional limit—Magnitude of elastic stress above which plastic deformation occurs.
The greatest stress which may be produced in a material such that stress is directly proportional to the strain is known as the proportional limit.
Reference: PHILLIPS’ SCIENCE OF DENTAL MATERIALS, 12th ed page no 48